All are test to detect seminal stains except
1. Florence test
2. Barberio's test
3. Acid phosphatase test
4. Benzidine test

Correct answer: 4. Benzidine test

Explanation: Tests for semen Florence test Barberio's test Acid phosphatase test Creatinine phosphokinase Thin layer chromatography Prostate specific antigen. Ref; FORENSIC MEDICINE AND TOXICOLOGY Dr PC IGNATIUS THIRD EDITION PAGE 321